If force applied at the bracket is doubled, then
1. The moment would decrease by 50%.
2. The moment would not change
3. The moment would double
4. The moment would increase by 4 times

Correct answer: 3. The moment would double

Explanation: Since M = Fd, doubling the force would double the moment, or tendency to rotate, tip, or torque.